0.05% of NaF has concentration of F
1. 9000 ppm
2. 1000 ppm
3. 225 ppm
4. 250 ppm

Correct answer: 3. 225 ppm